One of the followingis the t/t of choice for dermatitis herpetiformis
1. Corticosteroids
2. Dapsone
3. Mtx
4. Retinoids

Correct answer: 2. Dapsone

Explanation: oral dapsone is the main therapy used for dermatitis herpetiformis. 100-200 mg daily and gradually decreased to a maintenance dose of 50 mg daily.page no.286. Reference IADVL's concise textbook of dermatology